Ideal contraceptive for a couple who are living separately in two cities and meets only occasionally:-
1. Barrier methods
2. OCPs
3. IUCD
4. Inj. DMPA

Correct answer: 1. Barrier methods

Explanation: Ideal contraceptive for a couple who are living separately in two cities and meets only occasionally is Condom as long term contraception is not desirable. - Also OCPs and IUCD are required for long term contraception and both of them have few side effects too; so they are not desirable in this case. - Inj. DMPA is an injectable hormonal formulation which given contraception for 3 months which is not desirable here.